In parvovirus infection, what is common manifestation in adults?
1. Bone marrow aplasia
2. PRCA
3. Erythema infectiosum
4. Arthropathy

Correct answer: 4. Arthropathy

Explanation: Arthropathy is commonest manifestation of parvo virus in adults.

Erythema infectiosum (slapped cheek appearance) is seen in infants.
Bone marrow aplasia is seen in patients of chronic hemolytic anaemia.